Which if the following is the ‘Yellow fever’ reference centre?
1. Haffkin’s institute, Mumbai
2. AIIMS, Delhi
3. NIN, Hyderabad
4. Central institute, kasauli

Correct answer: 4. Central institute, kasauli